Initial treatment recommended for newly diagnosed patient with CML is:
1. Allogenic Bone Marrow Transplantation
2. Imatinib Mesylate Therapy
3. TNF-a
4. IFN-a

Correct answer: 2. Imatinib Mesylate Therapy

Explanation: Answer is B (Imatinib Mesylate Therapy) Harrison's 18th edition recommends starting treatment of newly diagnosed CML with TK inhibitors (Imatinib) and reserving alloginic transplantation for those who develop Imatinib resistance. The therapy of CML is changing rapidly because we have a proven curative treatment (allogenic transplantation) that has significant toxicity and a new targeted treatment (imatinib) with outstanding outcome based on 8 year follow up data. We recommend starting with TK inhibitors (Imatinib) and reserving allogenic transplantation for those who develop imatinib resistance' Note: The only curative treatment for CML is Allogenic stem cell Transpintation The treatment of choice in CML is Allogenic BMTe The drug treatment of choice in CML is ImatinibQ Initial treatment recommended for newly diagnosed patient with CML is Imatinib. Treatment of CML MEW The only curative treatment for CML is Allogenic Stem Cell Transplantation (SCT) (Allogenic bone marrow transplantation)Q The treatment of choice for CML is also Allogenic Stem Cell Transplantation (SCT) (Allogenic bone marrow transplantation)e The drug treatment of choice for CML is Imatinibe Interferon alpha (IFN a ) used to be the drug treatment of choice for CML when Imatinab was not available